Object permanence milestone develop at?
1. 6 months
2. 9 months
3. 12 months
4. 15 months

Correct answer: 2. 9 months

Explanation: Ans. is 'b' i.e., 9 month